Unique histological feature of Leydig cell tumor of testis?
1. Reinke's crystals
2. Psammomma bodies
3. Michaelis-Guttman bodies
4. None

Correct answer: 1. Reinke's crystals

Explanation: Ans. a (Reinke's crystals) (Ref. Shaw's Textbook of Gynecology, 14th ed., 341)HILUS CELL TUMOR (LEYDIG CELL TUMOR)# It arises from cells in the ovarian hilum.# It has Reinke crystals in cells, a distinguishing feature of the Leydig or interstitial cells of the testis.# Sertoli-Leydig cell tumors should be suspected in a patient with a unilaterally palpable adnexal mass and androgenic manifestations (produce sex steroid hormones).# Frank virilization develops in a third of women, and another 10 % have manifestations of androgen excess characterized by hirsutism, temporal balding, deepening of the voice, and clitoral enlargement.Educational points:BODIESEncountered in:Schiller-Duval bodiesCall-Exner bodiesReinke's crystals# Endodermai sinus tumor# Granulosa cell tumor# Leydig cell tumorWeibel-Palade bodies# Mediators such as histamine, thrombin, and PAF stimulate the redistribution of P-selectin from its normal intracellular stores in granules (Weibel-Palade bodies) to the cell surface.Heinz bodies0# G6PD deficiency: revealed by supravital staining.Donath-Landsteiner antibody# Paroxysmal cold hemoglobinuria following infections such as mycoplasma pneumonia, measles, mumps, and ill-defined viral and "flu" syndromes.Dohle bodies# In sepsis or severe inflammatory disorders (such as Kawasaki disease), leukocytosis is often accompanied by morphologic changes in the neutrophils, such as toxic granulations, Dohle bodies and cytoplasmic vacuoles. Dohle bodies are patches of dilated endoplasmic reticulum , that appear as sky-blue cytoplasmic "puddles" in smears with Wright-Giemsa stain.Masson bodies# Cryptogenic organizing pneumonia: Alveolar spaces are filled with balls of fibroblasts (Masson bodies), while the alveolar walls are relatively normal.Schaumann bodies,residual bodies & asteroid bodies# Although characteristic, these microscopic features are not pathognomonic of sarcoidosis as these may be encountered in other granulomatous diseases (e.g., tuberculosis).Spironolactone bodies0# A characteristic feature of aldesterone-producing adenomas is the presence of eosinophilic, laminated cytoplasmic inclusions (spironolactone bodies), found after Rx with spironolactone.Lafora bodies# Seen in the cytoplasm of neurons (as well as hepatocytes, myocytes, and other cells) in myoclonic epilepsy (Lafora body myoclonus with epilepsy).Pick bodies# Cytoplasmic, filamentous, weakly basophilic inclusions but stain strongly with silver methods. Ultrastructurally, these are composed of straight filaments, vesiculated endoplasmic reticulum, and paired helical filaments that are immunocytochemically similar to that in Alzheimer disease and contain 3 repeat tau.Bunina bodies# Amyotrophic Lateral Sclerosis (Motor Neuron Disease).Lewy bodies# Parkinson disease.Also Know:Testosterone/Estrogen-producing TumorsGonadotropin/Hcg-producing Tumors# Adrenal/ovarian carcinoma or adenoma# Granulosa cell tumor# Theca cell tumor# Leydig cell tumor# Gonadotropin/hCG-producing tumors# Choriocarcinoma# Dysgerminoma# Hepatoblastoma# Chorioepithelioma# Teratoma# Gonadoblastoma